The active principle of abrus precatorius is:
1. Abrin and abrine
2. Calotoxin and Calotropin
3. Ricin and Ricinoleic acid
4. Semicarpol and Bhilawanol

Correct answer: 1. Abrin and abrine

Explanation: Ans. (A). Abrin and abrineThe seed shown in the picture is abrus precatorius (Rati seeds), a plant irritant.Abrin and abrine - abrus precatoriusCalotoxin and Calotropin - calotropis giganteaRicin and Ricinoleic acid - ricinus communisSemicarpol and Bhilawanol- semicarpus anacardium (marking Nut)